Sweating as a result of exertion is mediated through:
1. Adrenal hormones
2. Sympathetic adrenergic
3. Parasympathetic cholinergic
4. Sympathetic cholinergic

Correct answer: 4. Sympathetic cholinergic